True about linea aspera ?
1. Forms lateral border of femur
2. Forms medial border of femur
3. Continues as gluteal tuberostiy
4. None of the above

Correct answer: 3. Continues as gluteal tuberostiy

Explanation: Ans. is 'c' i.e., Continues as gluteal tuberostiy